A 10 year old child has violaceous papule and pterygium of Nails, the diagnosis is :
1. Psoriasis
2. Lichen Planus
3. Pemphigus
4. Pemphigoid

Correct answer: 2. Lichen Planus

Explanation: Ans. is 'b' Lichen Planus Violaceous papules and pterygium clinches the diagnosis of lichen planusImp, point about lichen planusPruritic Papular disorder involvingFlexural surface*Mucous membraneGenitaliaClinical FeaturesAge group 30-60 yrsLesions arePolygonal*Plain topped*Papules*Purple*The lesions are Symmetrical and usually effectForearm and wristsLower legs & thighGenitaliaPalms and solesMucosal involvement (especially the buccal mucosa) occurs in 2/3 cases.Other characteristic features :Wickham's Striae* - Delicate white lines on surface of lesionKoehler phenomenon * Nail Involvement - Occurs in 10% cases {pterygium*, Anychia) Scalp lesions - Scarring Alopecia* occurs.